What is the effect of constriction of efferent arteriole and dilatation of afferent arteriole on glomerular filtration rate?
1. Increases GFR
2. Decreases GFR
3. No change to GFR
4. First increase then decreases GFR

Correct answer: 1. Increases GFR

Explanation: Increase in renal blood flow increases GFR. Afferent arteriole brings blood to the nephron hence its dilation will increase renal blood flow, and efferent arteriole takes blood away from the nephrons, hence its constriction will cause increase filtration, hence increase in GFR. Constriction of afferent arteriole: decreases both renal blood flow and GFR, without change in filtration fraction. Dilatation of afferent arteriole : increases both renal blood flow and GFR, without change in filtration fraction. Constriction of efferent arteriole: decreases the renal blood flow and increases GFR and filtration fraction. Dilatation of efferent arteriole: increases the renal blood flow and decreases the GFR and filtration fraction.